True regarding "Preauricular sinus" is:
1. Improper fusion of auricular tubercles
2. Persistent opening of first branchial arch
3. Autosomal recessive pattern
4. All

Correct answer: 1. Improper fusion of auricular tubercles

Explanation: Failure of fusion of 1" and 2nd arch leads to the formation of preauricular sinus. It is commonly seen at the root of helix It is a blind track lined by squamous epithelium It may get repeatedly infected causing purulent discharge Abscess may also form Treatment is surgical excision of the track if the sinus gets repeatedly infected.